Scalogram is other name for
1. Likert Scale
2. Guttman Scale
3. Thurstone scale
4. Senatic Differential Scale

Correct answer: 2. Guttman Scale